A 30 year old pregnant woman develops tuberculosis. Which of the following antitubercular drugs should not be used?
1. INH
2. Rifampicin
3. Streptomycin
4. Ethambutol

Correct answer: 3. Streptomycin

Explanation: Tuberculosis in pregnant women: The WHO and British Thoracic Society consider H, R and Z to be safe to the foetus and recommend the standard 6 month (2HRZ + 4HR) regimen for pregnant women with TB. E can be added during late but not early pregnancy. S is contraindicated because it is ototoxic to the fetus. However, Z is not recommended in the USA (due to lack of adequate teratogenicity data). In India, it is advised to avoid Z, and to treat pregnant TB patients with 2 HRE + 7HR (total 9 months). Treatment ofTB should not be withheld or delayed because of pregnancy. ESSENTIALS OF MEDICAL PHARMACOLOGY K.D.TRIPATHI SIXTH EDITION PAGE NO:748,749